Highly repetitive DNA is seen in -
1. Microsatelite DNA
2. Telomere
3. Centromere
4. All of these

Correct answer: 4. All of these

Explanation: Repetitive sequences in DNA are :-

Highly repetitive sequences :- Clustered in centroineres and telomeres.
Moderately repetitive sequences :- LINEs and SINEs.

Microsatellite repeat sequences may be both highly repetitive sequences (grouped tandem array) and moderately repetitive sequences (dispersed).